Monoclonal antibodies to the CD25 (IL-2a) receptors are used for a treatment of:
1. Hematological neoplasm
2. Autoimmune disease
3. Bone marrow transplantation
4. Kidney transplant rejection

Correct answer: 4. Kidney transplant rejection

Explanation: (Antibodies to CD 25) -Basiliximab reduces the incidence and severity of acute rejection in kidney transplantation without increasing the incidence of opportunistic infections.